Phlycten is due to –
1. Exogenous allergy
2. Endogeneous allergy
3. Viral keratitis
4. Fungal keratitis

Correct answer: 2. Endogeneous allergy

Explanation: Phlyctenular conjunctivitis → Endogenous allergy
Vernal keratoconjunctivitis →     Exogenous allergy